Iliofemoral Ligament arise from:
1. Ischial tuberosity
2. Anterior Superior Iliac Spine
3. Iliopubic Rami
4. Anterior Inferior Iliac Spine

Correct answer: 4. Anterior Inferior Iliac Spine

Explanation: IlioFemoral Ligament (of Biglow) is Y shaped, arising from the Anterior Inferior Iliac Spine and the rim of the acetabulum, it spreads obliquely downwards and lateral to attach to the Intertrochanteric line on the Anterior side of the Femoral Head.